In rabies the characteristic pathological manifestationis:
1. Ventriculitis
2. Brainstem encephalitis
3. Basal ganglia affection
4. Meningitis

Correct answer: 2. Brainstem encephalitis

Explanation: Ans. is 'b' i.e., Brainstem encephalitis(Ref: Robbin's 7th/e, p. 1375)* Rabies is severe encephalitis, mainly involves. Rhombencephalon (Brainstem), Basal ganglia, Spinal Cord, Dorsal root ganglia.